α1 -antitrypsin deficiency is associated with -
1. Centriacinar emphysema
2. Panacinar-emphysema
3. Paraseptal-emphysema
4. Irregular-emphysema

Correct answer: 2. Panacinar-emphysema